Drug which inhibits GPIIb/IIIa and is platelet anti Aggregatory:
1. Clopidogrel
2. Enoxaparin
3. Fondaparinux
4. Tirofiban

Correct answer: 4. Tirofiban

Explanation: Ans. D. TirofibanGP IIb/IIIA are the fibrogen activator receptor. On stimulating they activates the aggregation of platelets. Abciximab and tirofiban are the drugs which block these receptors and inhibit the platelet aggregation.